All of the following show false negative result on EPT (electric pulp testing) except:
1. Teeth with calcified canal
2. Immature teeth
3. Sedated patient, either alcohol or drugs
4. Moist gangrenous pulp

Correct answer: 4. Moist gangrenous pulp